Radiotherapy works by
1. Coagulation proteins
2. Necrosis of cells
3. Ionization of tissues
4. None of the above

Correct answer: 3. Ionization of tissues

Explanation: Radiation therapy works by damaging the genetic material within cancer cells and limiting their ability to successfully reproduce. When these damaged cancer cells die, the body naturally eliminates them.Radiation therapy is based on the principle that ionizing radiation kills proliferating cells(Refer: Thayalan's Basic Radiological Physics' 1st edition, pg no: 206-207)